Which of the following high energy phosphate acts as a reservoir for ATP formation?
1. Creatine phosphate
2. 1,3 bisphosphoglycerate
3. Succinyl CoA
4. Phosphoenolpyruvate

Correct answer: 1. Creatine phosphate

Explanation: Creatine phosphate prevents the rapid depletion of ATP by providing a readily available high-energy phosphate that can be used to regenerate ATP from ADP. Creatine phosphate is formed from ATP and creatine at times when the muscle is relaxed and demands for ATP are not so great. The enzyme catalyzing the phosphorylation of creatine is creatine kinase (CK). Creatine phosphate is a phosphagen which acts as a reservoir of ATP especially in the cardiac muscle which is the highest consumer of energy.Unlike ATP,Creatine phosphate does not inhibit cellular respiration and therefore provides an immediate source of energy. Ref: Murray R.K. (2011). Chapter 49. Muscle & the Cytoskeleton. In D.A. Bender, K.M. Botham, P.A. Weil, P.J. Kennelly, R.K. Murray, V.W. Rodwell (Eds), Harper's Illustrated Biochemistry, 29e.